The burrows in scabies is in the-
1. Stratum basale
2. Stratum granulosum
3. Stratum corneum
4. The dermis

Correct answer: 3. Stratum corneum

Explanation: Ans. C. Stratum corneumScabies, also known as the seven-year itch, is a contagious skin infestation by the mite Sarcoptes scabiei. Scabies mite burrows into stratum corneum to live and deposit eggs. These burrows are visible clinically as irregular grey- brown lines.